Which is the MOST common site of ectopic pancreatic tissue?
1. Stomach
2. Jejunum
3. Appendix
4. Hilum of spleen

Correct answer: 1. Stomach

Explanation: Most common sites of ectopic pancreatic tissue are walls of stomach, duodenum or ileum, in Meckel's diverticulum or at the umbilicus. Islet tissue is frequently present when ectopic pancreas is located in the stomach and duodenum but not when it is present elsewhere.Less common sites includes colon, appendix, gallbladder, omentum and mesentery. Ref: Sabiston Textbook of Surgery: Expert Consult Premium Edition: Enhanced.